All the following are beta-biockers except:
1. Esmolol
2. Sotalol
3. Celiprolol
4. Formoterol

Correct answer: 4. Formoterol

Explanation: Ans: D (Formoterol) Ref: Goodman & Gilman's The Pharmacological Basis of Therapeutics, 12th ed. 2011, Pg 292. 313-315, 829Explanation:Esmolol is a cardioselective beta blocker with a short half life of 9-1(1 min. It belongs to second generation beta blockers.Sotalol is a beta blocker with additional action of prolonging action potential duration through potassium channel blockade. Hence it is used as an anti-arrhythmic drug.Celiproloi is a beta I selective blocker with intrinsic sympathomimetic activity. It is a third generation beta blocker with vasodilating property. In addition to celiproloi, betaxoiol and nebivolol also belongs to third generation with eardio selective beta blocking activity as well as vasodilating property.Formoterol is a long acting beta 2 adrenergic receptor agonist. Food and drug administration (FDA) has placed a warning on the labeling information lor salmeteroL formoterol and arformoterol (all long acting beta 2 agonists). Expert panels have recommended the use of long acting beta 2 agonists for either initial therapy or it' inhalational corticosteroid alone is not successful in controlling asthma.